Haemorrhage at macular spot in high myopia is called:
1. Lacquer's lines
2. Foster-Fuchs fleck
3. Dalen-Fuchs nodules
4. Berlin's oedema

Correct answer: 2. Foster-Fuchs fleck

Explanation: Ans. Foster-Fuchs fleck